Permanent retainer is sometimes needed in cases of:
1. Severe malocclusion
2. Anterior cross bite
3. Severe rotations
4. Transposition

Correct answer: 3. Severe rotations